'BARS' system is a method of-
1. System analysis
2. Performance appraisal
3. Network analysis
4. None of the above

Correct answer: 2. Performance appraisal

Explanation: Ans. is 'b' i.e., Performance appraisal 0 Behaviorally anchored rating scales (BARS) is a management technique of personnel management which measures effectiveness of an employee though specific behaviours anchored to a scale, ranging from ineffective to effective performance.